False about Dandy Walker malformation:
1. Hypoplasia of velmis
2. Microcephaly
3. Hydrocephalus
4. Ataxia

Correct answer: 2. Microcephaly

Explanation: Dandy Walker malformation is characterized by hypoplasia of vermis and cystic expansion of 4th ventricle thus leading to hydrocephalus and macrocephaly (not microcephaly).